Which fibrinolytic agent selectively activate fibrin bound plasminogen rather than circulating plasminogen
1. Streptokinase
2. Urokinase
3. Alteplase
4. Both 'A' and 'C'

Correct answer: 3. Alteplase

Explanation: FIBRINOLYTICS (Thrombolytics) Alteplase It is moderately specific for fibrin bound plasminogen, so that circulating fibrinogen is lowered only by ~ 50%. It is rapidly cleared by liver and inactivated by plasminogen activator inhibitor-1 (PAI-1). The plasma t 1/2 is 4-8 min. Because of the short t 1/2 , it needs to be given by slow i.v. infusion and often requires heparin co-administration. It is nonantigenic, but nausea, mild hypotension and fever. Ref:- kd tripathi; pg num:-627